Pheochromocytoma are tumours of:
1. Adrenal cortex
2. Adrenal medulla
3. Pancreas
4. Bone

Correct answer: 2. Adrenal medulla

Explanation: Ans. B. Adrenal medullaPheochromocytoma are a type of tumor of the adrenal glands that can release high levels of epinephrine and norepinephrine. As the name implies, the "ad-renal" glands are located near the "renal" area. Someone with a pheochromocytoma usually has three classic symptoms, headache, sweating, and heart palpitations (a fast heart beat) in association with markedly elevated blood pressure (hypertension). Other conditions that may accompany these classic symptoms are as follows:a. Anxiety,b. Nausea,c. Tremors,d. Weakness,e. Abdominal pain, andf. Weight loss.